A 80-year-old patient presents with a midline tumor of the lower jaw, involving the alveolar margin. He is edentulous. Treatment of choice is:
1. Hemimandibulectomy
2. Commando operation
3. Segmental mandibulectomy
4. Marginal mandibulectomy

Correct answer: 3. Segmental mandibulectomy

Explanation: Mandibulectomy Marginal Mandibulectomy Segmental Mandibulectomy Conservative mandibulectomy Partial excision of the superior portion of mandible in vertical phase Inner cortical surface and a portion of underlying medullary cavity is excised Preserve mandibular continuity Indicated when Tumor lies within 1 cm of the mandible or abuts the periosteum without evidence of direct bony invasion Entire segment of mandible is resected. Results in mandibular discontinuity Requires major reconstructive procedure for cosmetic and functional purposes Indications 1. Invasion of the medullary space of the mandible 2. Tumor fixation to the occlusal surface of the mandible in the edentulous patient 3. Invasion to tumor into the mandible the mandibular or mental foramen 4. Tumor fixed to the mandible